All of the following are causes of secondary postpartum hemorrhage except:
1. Retained cotyledon
2. Endometritis
3. Placental polyp
4. Placenta previa

Correct answer: 4. Placenta previa

Explanation: Postpartum hemorrhage (PPH) occuring in the first 24 hrs after delivery is called primary or early PPH, and placenta previa causes early/Primary PPH. It is also a primary cause of antepartum hemorrhage. Secondary postpartum hemorrhage (late PPH): It is defined as bleeding 24 hours to 12 weeks after delivery. Causes: Abnormal involution of the placental site. Retention of placental cotyledon or products of conception. Placental polyp: Retained products undergo necrosis with fibrin deposition and eventually form a placental polyp, which on detachment from the myometrium causes of brisk hemorrhage. Placenta accreta Uterine artery pseudoaneurysm Endometritis Coagulopathy Ref: Williams Obstetrics 24th edition Pgno: 670, 671